Which among the following is marker of carcinoma?
1. Cytokeratin
2. Vimentin
3. Calretinin
4. CD 45

Correct answer: 1. Cytokeratin

Explanation: Cytokeratin is present in abundance in epithelial cells. Hence it serves as a useful marker of carcinoma.